Which of the following is not a feature of hallucination:
1. It can occur in any sensory modality
2. It is independent of will of observer
3. It is defined as perception occurring without external stimulation
4. Always pathological

Correct answer: 4. Always pathological

Explanation: Ans. D: Always pathologicalA hallucination, in the broadest sense of the word, is a perception in the absence of a stimulus.In a stricter sense, hallucinations are defined as perceptions in a conscious and awake state in the absence of external stimuli which have qualities of real perception, in that they are vivid, substantial, and located in external objective space. Hallucinations can occur in any sensory modality -- visual, auditory, olfactory, gustatory, tactile, proprioceptive, equilibrioceptive, nociceptive, thermoceptive and chronoceptive.